Regarding lower lid surgery, in which plication of the lower lid retractors is done is called
1. Quickert
2. Jones
3. Weiss
4. Modified wheelers

Correct answer: 2. Jones

Explanation: (Refer: AK Khurana Comprehensive Ophthalmology, 6th edition, pg no. 371 - 372)Jones, Rech And Wobig OperationIt is performed for severe cases or recurrent cases of entropionIn this operation, the inferior lid retractors are straightened by tucking or plication procedure Ref khurana 6th edition pg 345